Coracoid process is an example for
1. Pressure epiphysis
2. Traction epiphysis
3. Atavistic epiphysis
4. Aberrant epiphysis

Correct answer: 3. Atavistic epiphysis

Explanation: -This kind of epiphysis is a part of the bone which exist as a separate bone in lower animals;but in humans it has fused with the main bone-Coracoid bone is a separate bone in aies